Which of the following is excreted in saliva
1. Tetracyclines
2. Ampicilline
3. Lithium
4. Chloramphenicol

Correct answer: 3. Lithium

Explanation: (Lithium) (416-670 KDT) (435-KDT 6th)LITHIUM - is excreted in sweat and saliva also salivary concentration is proportional to serum concentration and may be usedfor non invasive monitoring* Lithium is excreted in breast milk, Mothers on lithium should not breast feed (416 - KDT)Tetracyclines - are concentrated in liver spleen and bind to the connective tissue in bones and joint* They are secreted in milk in amounts sufficient to affect the suckling infants